Number of live birth per 1000 women in reproductive age group is?
1. TFR
2. GFR
3. NRR
4. GRR

Correct answer: 2. GFR

Explanation: ANSWER: (B) GFRREF: Park 20th ed page 419, style="font-size: 1.04761904761905em; font-family: Times New Roman, Times, serif; margin: 0 0 0 8px; text-indent: 0; text-align: left">See previous question